Otolith organs are concerned with function of?
1. Oculovestibular reflex
2. Rotatory nystagmus
3. Linear acceleration
4. Angular accelration

Correct answer: 3. Linear acceleration

Explanation: ANSWER: (C) Linear accelrationREF: Dhingra 4th edition page 17Otolith organs:Utricle and saccule are the otolith organsTheir Sensory epithelium is called maculaeThey are concerned with linear acceleration decelerationThey sense the position of head in respect to gravityOtoliths:They are crystals of calcium carbonate located on the otolithic membrane present in the maculaeAlso called the osteoconia